Ultrasound diagnoses all the following except
1. Anencephaly
2. Down syndrome
3. Placenta praevia
4. * Hydatidiform mole

Correct answer: 2. Down syndrome

Explanation: Ans. Down syndrome